Following drugs act against HIV-2 Except:
1. Ritonavir
2. Tenofovir
3. Efavirenz
4. Zalcitabine

Correct answer: 3. Efavirenz

Explanation: Nevirapine (NVP) and Efavirenz (EFV): These are nucleoside unrelated compounds which directly inhibit HlV reverse transcriptase without the need for intracellular phosphorylation. Their locus of action on the enzyme is also different. They are more potent than AZT on HIV -1, but do not inhibit HIV -2. ESSENTIALS OF MEDICAL PHARMACOLOGY K.D.TRIPATHI SIXTH EDITION PAGE NO:772